Which of the following support the Spring ligament?
1. Tibialis posterior
2. Peroneus longus
3. Abductor hallucis
4. All of the above

Correct answer: 1. Tibialis posterior

Explanation: Ans. A. Tibialis posterior.The plantar calcaneonavicular ligament (spring ligament) is a ligament on the underside of the foot that connects anterior margin of the sustentaculum tali of the calcaneus to the plantar surface of the navicular. This ligament not only serves to connect the calcaneus and navicular, but supports the head of the talus. The dorsal surface of the ligament presents a fibrocartilaginous facet, lined by the synovial membrane, and upon this a portion of the head of the talus rests. The spring ligament lies deep to the tibialis posterior tendon separated from it by a gliding layer. It measures approximately 5mm in medial to lateral dimension.# Around the ankle, there are three ligaments in the superficial layer named for their origin and insertion. Two of these run between bony structures. The anterior ligament is the tibionavicular and the posterior is the tibiocalcaneal ligament. The transverse component of the medial ligament complex is the spring ligament. The spring ligament represents one component of a ligament complex passing between the os calcis and the navicular, which is the superoficial calcaneonavicular ligament.# The function of tibialis posterior in maintaining the medial arch of the foot is supported by the spring ligament.# The tendon of the tibialis posterior supports its plantar surface; its medial border is blended with the forepart of the deltoid ligament of the ankle-joint.# The plantar calcaneonavicular ligament helps to maintain the medial longitudinal arch of the foot and by providing support to the head of the talus bears the major portion of the body weight. It is the main part of the spring ligament complex.Other ligaments of ankle joint:Principle supports of the Medial longitudinal arch of the foot:e# Spring ligament# Plantar fascia: acts as a tie by means of its attachments to the heel and metatarsal heads.# Abductor hallucis and flexor digitorum brevis (spring ties)# Tibialis anterior: elevates arch with Peroneus longus forms a supporting sling.# Tibialis posterior: adducts mid-tarsal joint and reinforces the action of spring ligament# Flexor hallucis longus